Treatment of tobacco addiction - a) Nicotine  b) Bupropion  c) Mecanylate  d) Dopamine  e) Adenine
1. ab
2. bc
3. ac
4. ad

Correct answer: 1. ab